In which surgical approach is the tube opened to remove the gestational products, then left unsutured?
1. Salpingotomy
2. Salpingostomy
3. Salpingectomy
4. Salpingorrhaphy

Correct answer: 2. Salpingostomy

Explanation: Salpingostomy: This procedure is used to remove a small unruptured pregnancy. A 10 to 15 mm linear incision is made with unipolar needle cautery on the antimesenteric border over the pregnancy. The products usually will extrude from the incision and can be carefully removed or flushed out using high-pressure irrigation that more thoroughly removes the trophoblastic tissue. Small bleeding sites are controlled with needlepoint electrocoagulation or laser, and the incision is left unsutured to heal by secondary intention. Salpingotomy is the procedure where the incision (similar to that made in salpingostomy) is sutured after the removal of the products.